Clue cells are seen in..
1. BV
2. Chlamydia
3. Moniliasis
4. Trichomoniasis

Correct answer: 1. BV

Explanation: Ans. is "a' i.e., BV Bacterial (Gardnerellal vaginosiso It is not a sexually transmitted condition. It is termed as vaginosis rather than vaginitis because it is associated with alteration of vaginal flora rather than any specific infection. There is considerable decrease in the number of lactobacilli and lOOtimes increase in the growth of other anaerobic bacteria. These are Haemophilus vaginalis, Gardnerella, Mobiluncus, Mycoplasma hominis. Half of the females are asymptomatic carriers but majority complain of vaginal discharge without itching.o Characteristic of vaginal discharge are as follows:White, milky, non-viscous discharge adherent to vaginal wall.pH of discharge is more than 4.5.Fishy odour when mixed with 10% KOH is due to amino-metabolites (amine or whiff test positive).Presence of clue cells - the epithelial cell have fuzzy border due to adherence of bacteria,o Diagnosis is based on wet smear examination & culture.TreatmentMetronidazole 500mg bd for 7 daysAmpicillin 500 mg bd or cephalosporine 500 mg bd for 7 daysTetracycline, doxycycline, clindamycin and sulphafurazole are other options.Clindamycin (2%) cream, lacteal gel (5% lactic acidjand omidazole vaginal tabs are for local use.